All the following are hereditary causes of anemia during pregnancy except:
1. Thalassemias
2. Sickle cell anemia
3. Megaloblastic anemia
4. Hereditary hemolytic anemia

Correct answer: 3. Megaloblastic anemia

Explanation: Causes of anemia during pregnancyAcquiredHereditaryIron deficiency anemiaThalassemiasAnemia caused by acute blood lossSickle cell anemiaAnemia of inflammation or malignancyHereditary hemolytic anemiaMegaloblastic anemiaAcquired hemolytic anemiaAplastic or hypoplastic anemia(Ref: William's Obstetrics; 25th edition)